Onion skin thickening of arteriolar wall is seen in
1. Atherosclerosis
2. Median calcific sclerosis
3. Hyaline arteriosclerosis
4. Hyperplastic arteriosclerosis

Correct answer: 4. Hyperplastic arteriosclerosis

Explanation: Hyperplastic arteriolosclerosis is more typical of severe hypertension. Vessel exhibit onion skin , concentric laminated thickening of arteriolar walls and luminal narrowing Robbins 9 th edition page no. 334